Cryptic type miliary TB usually affects which group of patients given below?
1. Young children
2. HIV patients
3. Diabetic patients
4. Elderly

Correct answer: 4. Elderly

Explanation: A rare presentation of miliary TB seen in the elderly is cryptic miliary TB. It has a chronic course and with mild intermittent fever, anemia, and meningeal involvement preceding death. Reference: Harrisons Principles of Internal Medicine, 18th Edition, Page 1349